Bill's bar divides:
1. Facial nerve and cochlear nerve
2. Facial nerve and superior vestibular cochlear nerve
3. Facial and inferior vestibule cochlear nerve
4. Superior and inferior vestibule cochlear nerve

Correct answer: 2. Facial nerve and superior vestibular cochlear nerve

Explanation: Ans. (b) Facial nerve and superior vestibular cochlear nerveRef: Dhingra's ENT 6th ed.l 90-91* Bills bar divides the superior compartment of the internal acoustic meatus into an anterior and posterior compartment.* Anterior to Bill's bar, are the facial nerve (in the anterior superior quadrant) and nervus intermedius, and posterior to it is the superior division of the vestibular nerve (in the posterior superior quadrant).